Cause of vasodilation in spider nevi
1. Testosterone
2. Estrogen
3. FSH
4. Hepatotoxin

Correct answer: 2. Estrogen

Explanation: B i.e. EstrogenIn chronic liver disease (especially cirrhosis) and pregnancy, impaired estrogen metabolism and consequent hyper estroenemiaQ leads to spider angiomata/nevi (superficial, tortous arterioles, that unlike simple telangiectases, typically fill from the center outwards and occur invariably on upper half of body) and palmar erythema (mottled redness of thenar & hypothenar eminences).